The client who is human immunodeficiency virus seropositive has been taking Saquinavir (Invirase). The nurse provides medication instructions and advises the client to:
1. Take the medication in the morning before meals.
2. Include a low-fat diet.
3. Weight gain is expected.
4. Avoid being exposed to sunlight.

Correct answer: 4. Avoid being exposed to sunlight.

Explanation: Saquinavir (Invirase) is an antiviral medicine that prevents human immunodeficiency virus (HIV) from multiplying in the body. This can cause photosensitivity so the nurse should instruct the client to avoid sun exposure.

Option A: The medicine is taken with food or within 2 hours after eating a full meal.
Option B: The medicine is best absorbed with a high-fat meal.
Option C: Weight loss instead is expected.